The biochemical role of vitamin K in the post- translational modification of clotting factors is by?
1. Glycosylation
2. Carboxylation
3. Acetylation
4. Phosphorylation

Correct answer: 2. Carboxylation

Explanation: Ans. (b) CarboxylationVitaminActionsDeficiency SynptomesSourcesK groupCatalyze g carboxylation of glutamic acid residues on various proteins concerned with blood clottingHemorrhagic phenomenaLeafy green vegetables